Reducing sugar in urine is seen in:
1. Fanconi anemia
2. Lactose intolerance
3. Galactosemia
4. Phenylketonuria

Correct answer: 3. Galactosemia

Explanation: C i.e. Galactosemia